All of the following are displacements of Colie's fracture except -
1. Dorsal tilt
2. Impaction
3. Supination
4. Medial dispalcement

Correct answer: 4. Medial dispalcement

Explanation: Ans. is 'd' i.e., Medial dispalcement Displacement in colie's fractureo The fracture line runs transversely at the cortico-cancellous junctiono In the majority of the cases, one or more displacements of the distal fragment occuri) Dorsal displacement (Dorsal shift)ii) Dorsal tilt (Dorsal angulation)iii) Lateral displacement (lateral shift)iv) Lateral tilt (lateral angulation)v) Supination (external rotation)vi) Impaction (proximal migration)